All of the following are feature of chronic lead poisoning except?
1. Encephalopathy
2. Burtonian line
3. Cutaneous blisters
4. constipation

Correct answer: 3. Cutaneous blisters